Most sensitive test for skeletal metastasis is
1. Radio- isotope
2. Tomography
3. CT scan
4. X-ray

Correct answer: 1. Radio- isotope

Explanation: A. i.e. (Radio-isotope) (20 - Apley 8th)* The best indication for a bone scan is suspected multiple bony lesions such as in metastatic carcinoma an lymphoma of bone (302 - current diagnosis & Treatment - orthopedics)* Most common imaging agents are technetium 99 m and indium 111* Tc99m used to assess the degree of osteoblastic activity* Tc99m scan are also useful in distinguishing blastic lesions of bone* Isotope scaning is also used in the staging process of a primary sarcoma such as an osteosarcoma to make sure the patient does not have an asymptomatic remote skeletal lesions